Amongst the following extrapyramidal side effect is commonest with which drug?
1. Risperidone
2. Haloperidol
3. Clozapine
4. Ziprasidone

Correct answer: 2. Haloperidol

Explanation: Clozapine is an atypical antipsychotic drug and has negligible risk of extrapyramidal symptoms. Atypical antipsychotic drugs act by antagonistic actions at 5-HT2 and alpha receptors and may or may not possess D2 blocking activity. These drugs are less likely to cause extrapyramidal symptoms. However, most of these agents (except ziprasidone and aripiprazole) can result in weight gain, hyperlipidemia and new-onset diabetes mellitus.